Chronic fibrosing mediastinitis is seen ina) Tuberculosisb) Histoplasmosisc) Plagued) Sarcoidosis
1. acd
2. bcd
3. abc
4. abd

Correct answer: 4. abd